The danger space in front of prevertebral fascia extends till
1. T4 vertebrae
2. T2 vertebrae
3. Diaphragm
4. Coccyx

Correct answer: 3. Diaphragm